Zollinger-Ellison syndrome is characterized by the following except-
1. Profound gastric hypersecretion
2. Large diarrhea with occasional steatorrhea
3. Hypocalcemia
4. Hypergastrimia

Correct answer: 3. Hypocalcemia

Explanation: Davidson's principles and practice of medicine 22nd edition. *Tumor secretes gastrin which stimulated acid secretion in maximum capacity. Pancreatic lipase is inactivated and bile acids are precipitated ,diarrhoea and steatorrhea are precipitated. *adenoma of the para thyroid and pituitary gland (MEN type1 )are present.